The most common cause of fracture at the isthmus of a class II dental amalgam restoration:
1. Delayed expansion
2. Inadequate depth at the isthmus area
3. Inadequate width at the isthmus area
4. Moisture contamination of the amalgam

Correct answer: 2. Inadequate depth at the isthmus area